Hypogastric sheath is a condensation of
1. Scarpa's fascia
2. Colle's fascia
3. Pelvic fascia
4. Inferior layer of urigenital diaphragm

Correct answer: 3. Pelvic fascia

Explanation: The hypogastric sheath is a pelvic fassia condensation. It lies along the posterolateral pelvic wall and carries the neurovascular bundles towards the pelvic visera. It also provides the pelvic visera support. image ref - wikipedia.org